Chronic dysentery, abdominal pain, and rectal prolapse in children is caused by -
1. Enterobius vermicularis
2. Ascariasis
3. Trichuris trichiura
4. Trichinella spiralis

Correct answer: 3. Trichuris trichiura